Which of the following is true regarding total heat production during a muscle contraction?
1. Activation heat is produced when a muscle is contracting
2. Initial heat produced is the due of basal metabolic processes
3. Relaxation heat is present in both isotonic and isometric contractions
4. Recovery heat of muscle is greater than the initial heat

Correct answer: 1. Activation heat is produced when a muscle is contracting

Explanation: Activation heat is the heat that muscle produces whenever it contracts. Heat Production in Muscle Resting Heat: The heat given off at rest due to the basal metabolic processes . Initial Heat: The heat produced in excess of resting heat during contraction. It is made up of two subtypes: Activation Heat: The heat that muscle produces whenever it is contracting, and Shortening Heat: The heat which is proportional in amount to the distance the muscle shortens. Shortening heat is apparently due to some change in the structure of the muscle during shortening. Recovery Heat: This is the heat liberated by the metabolic proccesses that restore the muscle to its precontraction state. The recovery heat of muscle is approximately equal to the initial heat. Relaxation Heat: Heat released in a muscle that has contracted isotonically to restore it to its previous length. This extra heat is in addition to recovery heat. Ref: Ganong's Review of Medical Physiology 25th edition Pgno: 109-110